Chyme is propelled forward in small intestine by
1. Segmentation
2. Haustrations
3. Migratory motor complexes (MMC)
4. Peristalsis

Correct answer: 4. Peristalsis

Explanation: D i.e. Peristalsis Peristalsis propels the small intestinal content (chyme)Q toward the large intestine. It is a reflex response that is initiated when gut wall is stretched by contents of lumen. It occurs in all part of g.i tract from oesophagus to rectum propelling the content forward. It can be increased or decreased by autonomic input to gut but its occurrence is independent of extrinsic innervation. It is blocked only if the segment is reversed before it is sutured back (not by removed of intestine segment & resuturing in original position).